Anticholinergic which can be used as sedative and antiemetic premedication is
1. Atropine
2. Glycopyrrolate
3. Hyoscine
4. Edrophonium

Correct answer: 3. Hyoscine

Explanation: Hyoscine, also known as scopolamine, is a medication used to treat motion sickness and postoperative nausea and vomiting. It is also sometimes used before surgery to decrease saliva. When used by injection, effects begin after about 20 minutes and last for up to 8 hours.